The following patient shows painless lump in umbilicus with reduction on lying down. The diagnosis is:
1. Umbilical hernia
2. Fistula in Umbilicus
3. Omphalitis
4. Gastroschisis

Correct answer: 1. Umbilical hernia

Explanation: Ans. (a) Umbilical hernia* Small umbilical hernia with cough impulse can be identified clinically.* There is less chances for obstruction in children and we can observe for spontaneous closure upto 5 years in children.